Lateral medullary syndrome or Wallenberg syndrome involves all EXCEPT:
1. 5th cranial nerve
2. 9th cranial nerve
3. 10th cranial nerve
4. 12th cranial nerve

Correct answer: 4. 12th cranial nerve

Explanation: ANSWER: (D) 12th cranial nerveREF: Harrison's Internal Medicine 17th ed Chapter 364. Cerebrovascular Diseases, Brainstemdisorders by Peter P Urban, Louis R Caplan page 205-207.See previous 2 questions for explanation and table of Brainstem syndromes